IL-1 is produced by -a) Macrophageb) Helper T lymphocytesc) B cellsd) Cytotoxic T-cells
1. a
2. bc
3. ac
4. b

Correct answer: 3. ac